Select false statement
1. Yellow fever vaccine is reconstituted by cold physiological saline
2. JE vaccine is reconstituted by Sterile water
3. Measles vaccine is reconstituted by distilled water
4. BCG vaccine is reconstituted by normal saline

Correct answer: 2. JE vaccine is reconstituted by Sterile water

Explanation: Diluents Nacl BCG Sterile water Measles Phosphate buffer solution JE